Cholangiocarcinoma has been associated with infection by
1. Paragonimus westermani
2. Clonorchis sinensis
3. Loa Loa
4. Schistosoma haematobium

Correct answer: 2. Clonorchis sinensis

Explanation: Risk factors for cholangiocarcinoma Choledochal cyst Primary sclerosing cholangitis Ulcerative colitis. RPC or hepatolithiasis. Biliary enteric anastomosis HBV, HIV, HCV Choledocholithiasis Clonorchis sinensis and opisthorchis viverrini Cirrhosis Radon Asbestos, Nitrosamines, Dioxib(AND). Diabetes, Obesity, OCP's, smoking, Thorotrast, Isoniazid(DOSTI) Ref: Sabiston 20th edition Pgno :1514